The impression material with lowest viscosity is
1. Plaster of paris
2. Agar-agar
3. Zinc oxide eugenol
4. Elastomers

Correct answer: 1. Plaster of paris

Explanation: Impression plaster is a β-calcium sulfate hemihydrate used at a water/powder ratio of approximately 0.5 to 0.6. Its fluidity makes it suitable for making impressions of soft tissues in the uncompressed state, a characteristic of mucostatic impression material.
Ref: Phillips 12 ed page no 177